Zero order kinetics occur in following drug with high dose ?
1. Phenytoin and Theophylline
2. Digoxin and Propranolol
3. Amiloride and Probenecid
4. Lithium and Theophylline

Correct answer: 1. Phenytoin and Theophylline